An 8-year-old child presented with brownish discoloured and deformed anterior teeth. History of having received an antibiotic about 4 years earlier was obtained. Which antibiotic could be responsible for the condition:
1. Chloramphenicol
2. Gentamicin
3. Tetracycline
4. Erythromycin

Correct answer: 3. Tetracycline